Axillary nerve supplies
1. Supraspinatus
2. Teres minor
3. Teres major
4. Infraspinatus

Correct answer: 2. Teres minor

Explanation: Posterior division of axillary nerve supplies the posterior part of deltoid muscle and teres minor. Teres minor is one of the muscle in rotator cuff muscles. B D Chaurasia 7th edition Page no : 180